100 people of viral fever are treated with a medicine 94 percent were cured in 5-7 days. True statement about efficieny of medicine-
1. Medicine is effective
2. Cannot be commented
3. Medicine is ineffective
4. None of the above

Correct answer: 2. Cannot be commented